Ca urinary bladder commonly presents as :
1. Haematuria
2. Frequency
3. Dysuria
4. Abdominal lump

Correct answer: 1. Haematuria

Explanation: Ans is 'a' ie hematuria [Ref. Bailey & love, 25/e p1336 (24/e, p1363; 23/e, p1229)\"Painless hematuria is by far the most common symptom and should be regarded as indicative of a bladder carcinoma until proven otherwise. "Also RememberMC primary tumor which gives secondary to penis is- bladder carcinoma*Commonest tumor of Urinary bladder -Transitional cell Ca*Commonest tumor of U.B. in a child - Rhabdomyosarcoma*MC symptom of renal cell Ca -Painless hematuriaMC symptom of wilm's tumor - mass in abd.MC symptom of bony metastasis -pain*MC symptom of renal stone -pain*Earliest symptom of vesical calculus- frequency*Cardinal symptom of renal trauma -hematuria*MC symptom of acute arterial occlusion -Pain*